Which bacteria acts by inhibiting protein synthesis-
1. Pseudomonas
2. Staphylococcus
3. Streptococcus
4. Klebsiella

Correct answer: 1. Pseudomonas